Rupture of berry aneurysm most commonly results in -
1. Subarachnoid hemorrhage
2. Subdural hemorrhage
3. Extradural hemorrhage
4. Intra-parenchymal hemorrhage

Correct answer: 1. Subarachnoid hemorrhage

Explanation: Ans. is 'a' i.e., Subara chnoid hemorrhage o Most common cause of subarachnoid hemorrhage-Traumao Most common cause of spontaneous subarachnoid hemorrhage-Rupture of Berry aneurysm(or Saccular aneurysm)Also knowMycotic aneurysm -o Mycotic aneurysm is caused by a septic embolus that weakens the wall of the vessel in which it lodges.